Anterior wall of axilla is formed by
1. Pectoralis major
2. Humerus
3. Latissimus dorsi
4. Teres major

Correct answer: 1. Pectoralis major

Explanation: Anterior wall of axilla is formed by pectoralis major in front, clavipectoral fascia, and pectoralis minor. Upper part of shaft of humerus in the region of bicipital groove forms a part of lateral wall of axilla.Posterior wall of axilla is formed by latissimus dorsi below along with subscapularis and teres major.B D Chaurasia 7th edition Page no: 49